Life threatening intravascular hemolysis occur with sepsis due to which organism?
1. Clostridium perfringens
2. Mycoplasma pneumonia
3. Pseudomonas
4. Klebsiella

Correct answer: 1. Clostridium perfringens

Explanation: Clostridium perfringens sepsis leads to life threatening intravascular hemolysis due to lecithinase activity. It occurs following open wounds, septic abortion, or due to a contaminated blood unit. Other infections causing hemolytic anemia: Malaria Shiga toxin-producing E. coli O157:H7